Small pox vaccine was invented by?
1. Louis pasture
2. Edward Jenner
3. Paul Eugene
4. John snow

Correct answer: 2. Edward Jenner

Explanation: ANSWER: (B) Edward JennerREF: Jawetz's 24th ed chapter 34Edward Jenner introduced vaccination for small pox with live cowpox virus in 1798.